True statement about pralidoxime is:
1. Signs of atropinization occur more slowly when pralidoxime is used as compared to the use of atropine alone
2. It can be used for chlorinated pesticides
3. It should not used for nerve gases used in chemical warfare
4. Therapy with pralidoxime should ideally be monitored by measuring blood cholinesterase concentration

Correct answer: 4. Therapy with pralidoxime should ideally be monitored by measuring blood cholinesterase concentration

Explanation: Ref:KD Tripathi pharmacology 7th edition (page.no: 30) Drugs facts and comparison 2010/599 Pralidoxime given during organophosphate poisoning attaches to anionic site of enzyme which remains unoccupied in presence of OP inhibitors. It's Oxime end react with phosphorus atom attached to the esteratic site.Oxime-Phosphonate so formed diffuses away leaving the reactivated ChE In the case of OP poisoning: Blood for drug level estimation should be taken at the earliest and then repeatedly to confirm the poisoning and to monitor the progress. When atropine and pralidoxime are used together, the signs of atropinization (flushing, mydriasis, tachycardia, dryness of the mouth and nose) may occur earlier than might be expected when atropine is used alone. This is especially true if the total dose of atropine has been large and the administration of pralidoxime has been delayed. It is used for nerve gases used in chemical warfare